Which of the following shows functional assessment of B1 deficiency:
1. RBC Transketolase
2. RBC Glutathione reductase
3. Serum Thiamine levels
4. RBC Glutathione Peroxidase

Correct answer: 1. RBC Transketolase

Explanation: Ans. (a) RBC TransketolaseRef: Harpers Biochemistry 30th Ed; Page No- 556*Biochemical assessment of Thiamin nutritional status done by erythrocyte transketolase activation.* The activation of apo-transketolase (the enzyme protein) in erythrocyte lysate by thiamin diphosphate added in vitro has become the accepted index of thiamin nutritional status.Functional Assessment of Vitamin B complexVitamin B complexBiochemical assessmentThiamine (B1)Erythrocyte transketolase activity is reduced.Riboflavin (B2)Measurement of activation of Erythrocyte Glutathione Reductase by FAD added in vitro.Pyridoxine (B6)* Erythrocyte Transaminase activity* Tryptophan load test-measurement of Xanthurenic acid following Tryptophan load.Folic Acid (B9)* Serum folate* Serum Homocysteine* Histidine Load test or FIGLU excretion test* Peripheral Blood smear (Macrocytes , tear drop cells, hypersegmented neutrophils, anisopoikilocytosis)* Red cell folate* AICAR (Amino Imidazole Carboxamide Ribose 45 phosphate) Excretion TestCobalamin (B12)* Serum Homocysteine* Serum Cobalamin* Schilling Test using radioactive labelled coablt-60* Serum Methyl Malonate* Urine Homocysteine and MMA* Bone marrow and Peripheral blood smear